Which of the following is NOT seen in ARDS:
1. Pulmonary edema
2. Hypercapnia
3. Hypoxemia
4. Stiff lung

Correct answer: 2. Hypercapnia

Explanation: Ans. B i.e. HypercapniaARDS/ Diffuse alveolar damage/ Shock lungHypoxia,Hypocapnia,Acute onset of respiratory failure,Ground glass appearance on chest X-rayAir bronchogram sign is positiveAssociated with:Pancreatitis,- Trauma,- Multiple blood transfusions etc.